Gallows Traction is used for -
1. Fracture Shaft tibia in children
2. Fracture shaft femur in children
3. Fracture shaft tibia in adults
4. Fracture shaft Femur in adults

Correct answer: 2. Fracture shaft femur in children

Explanation: Ans. is 'b' i.e., Fracture shaft femur in children Conservative management of femur fractures in childreni) 0-2 years: - Plaster spica or modified Bryant or Gallow's traction or pavllic harness (< 6 month of age).ii) 2-10 years: - Split Russel tractioniii) 10-15 years: - 90-90 degree femoral skeletal traction.